Rothera's test for detection of:
1. Proteins
2. lucose
3. Fatty acid
4. Ketones

Correct answer: 4. Ketones

Explanation: D i.e. KetonesRothera's - nitroprusside - pink/ purple permanganate ring test and Gerhardt's - ferric chloride - red wine color tests are used for detection of ketone bodies in urine.